A patient has complaint of seeing coloured holoes in the evening and blurring of vision for last few days with normal 10P :
1. Prodromal phase of acute angle closure glaucoma
2. Acute angle closure glaucoma
3. Chronic glaucoma
4. Epidemic dropsy

Correct answer: 1. Prodromal phase of acute angle closure glaucoma

Explanation: A i.e.Prodromal phase of angle closure glaucoma